All of the following are true about anterior choroidal artery syndrome, except:
1. Hemiparesis
2. Hemisensory loss
3. Homonymous Hemianopia
4. Involvement of anterior limb of internal capsule

Correct answer: 4. Involvement of anterior limb of internal capsule

Explanation: The anatomical structures consistently located in theAnterior choroidal artery territory are optic tract, posterior limb of internal capsule and the choroid plexus. The anterior limb of internal capsule is supplied by lenticulostriate branches of middle cerebral artery (superior half) & recurrent artery of Huebner off of the anterior cerebral artery (inferior half). Ref: Handbook of clinical neurology: Stroke, Clinical, Volume 93, Part 2 By Marc Fisher, Page 521 - 522.